Most common rheumatic disease in children is ________
1. Juvenile idiopathic arthritis
2. Juvenile ankylosing spondylitis
3. Systemic lupus erythematosus
4. Morphea

Correct answer: 1. Juvenile idiopathic arthritis

Explanation: The most common rheumatic disease in children is Juvenile idiopathic arthritis (JIA), Juvenile idiopathic arthritis represents a homogenous group of chronic disorders charcterized by Arthritis in >/= 1 joint Age at onset: <16 years Duration of disease: >/=6 weeks Arthritis is clinically defined as: Swelling or effusion, or the presence of 2 or more of the followin signs: Limitation of range of motion Tenderness or pain on motion Increased heat Ref: Nelson textbook of pediatrics 21st edition pgno: 1258